Triamterene causes
1. Better glucose tolerance
2. Muscle cramps
3. Decrease in urea level
4. Hypokalemia

Correct answer: 2. Muscle cramps

Explanation: Inhibitors of renal epithelial Na+ channel Include Triamterene and amiloride. Triamterene:- It is incompletely absorbed orally, partly bound to plasma proteins, largely metabolized in liver to an active metabolite and excreted in urine. Plasma t 1/2 is 4 hours, effect of a single dose lasts 6-8 hours. Side effects:- consist of nausea, dizziness, muscle cramps and rise in blood urea. Impaired glucose tolerance and photosensitivity are reported, but urate level is not increased. Ref:- kd tripathi; pg num:-590